Tigered effect of heart is seen in
1. Fatty change
2. Hyaline change
3. Amy
4. Atrophy

Correct answer: 1. Fatty change